All are secreted in zymogen form except
1. Pepsin
2. Trypsin
3. Lipase
4. Colipase

Correct answer: 3. Lipase

Explanation: Gastric lipase is a fat splitting enzyme,it acts at an optimal pH 4-4.5 . Lipases successively hydrolyzed the triglycerides . Ref.Textbook of physiology by AK Jain 7th edition page no.266